Vasculitis not commonly seen in adults-
1. Kawasaki disease
2. Henoch schonlein purpura
3. Temporal arteritis
4. PAN

Correct answer: 1. Kawasaki disease